Enzyme deficient in Tay-sach's disease :
1. a galactosidase
2. Hexosaminidase A
3. b galactosidase
4. b glucosidase

Correct answer: 2. Hexosaminidase A

Explanation: Ans. (b) Hexosaminidase ARef: Harper's Biochemistry, 30th ed. pg. 251* Tay-Sach's disease (also known as GM2 gangliosidosis or hexosaminidase A deficiency) is a rare autosomal recessive genetic disorder.* In its most common variant (known as infantile Tay- Sachs disease), it causes a progressive deterioration of nerve cells and of mental and physical abilities that commences around six months of age and usually results in death by the age of four.